Rib ossification center first appears in which rib ?
1. 1st
2. 12th
3. 6th
4. 3rd

Correct answer: 3. 6th

Explanation: Ans. is 'c' i.e., 6thEach rib (except for 11th& 12th) is ossified from four centres :-One primary centre-->for bodyThree epiphyseal (secondary )centres for :-HeadArticular part of tubercleNon articular part of tubercleOssification begins near the angle toward the end of 2" month (around 8th week) of fetal life, and is seen first in 6th and 7th ribs.The epiphyses for the head and tubercle make their appearance between 16th and 20th years, and are united to the body about the 25th year.